Which of the following contains sulphur?
1. Creatine
2. Insulin
3. Inulin
4. Creatinine

Correct answer: 2. Insulin

Explanation: Ans: b (Insulin) Ref: Harper, 25th ed, p. 347,115Insulin is a polypeptide consisting of two chains linked by two inter chain di sulphide bridges.Amino acids required for special products:> Creatine - glycine + arginine+ methionine> Glutathione - glycine + cysteine + glutamate> Purine - glycine + aspartate + glutamine + serine> Pyramidine - aspartate + glutamine (glycine not present)> Keratin - formed by histidine, arginine, lysine. Also note - keratin is rich in cysteine.> Histone - rich in arginine and histidine.> Camosine - P alanine, histidine.> Choline - glycine, serine, methionine (Vit B6 - lipotrophic factor)